Legal age by which fetus is capable of independent existence is :
1. 240 days
2. 230 days
3. 220 days
4. 210 days

Correct answer: 4. 210 days

Explanation: D i.e. 210 days